Which of the following terms best describes a drug that blocks the action of adrenaline at its receptors by occupying those receptors without activating them ?
1. Pharmacologic antagonist
2. Non competitive antagonist
3. Physiologic antagonist
4. Chemical antagonist

Correct answer: 1. Pharmacologic antagonist